Characteristic feature of still's disease -
1. Prominent kidney involvement
2. Rashes
3. Positive Rheumatoid factor
4. Neutropenia

Correct answer: 2. Rashes

Explanation: Ans. is 'b' i.e., RashesStills disease is a variant of rheumatoid commonly occurring in adults in 20's and 30's.o Patients characteristics clinical features are:1. High spiking fever often upto 40degC.2. Sore throat3. Evanescent salmon coloured non pruritic rash, seen on chest & abdomen4. Lymphadenopathy5. Pericardial effusion6. Wrist joint involvemento Chances are that you might confuse it with Felty's syndrome so I am giving the important features of both these conditions togetherStills ds Feltv's syndromeo Rheumatoid arthritiso Splenomegalyo Leucocytosiso Rasho Rheumatoid factor is usually not presentRheumatoid arthritisSplenomegalyNeutropeniaHigh titres of rheumatoid factor